Latanoprost (PGF2 alpha) is used in :
1. Maintenace of ductus arteriosus
2. Pulmonary hypertension
3. Gastric mucosal protection
4. Glaucoma

Correct answer: 4. Glaucoma